Mediator of acute inflammation not derived from cell is:
1. Histamine
2. Leukotrienes
3. Kinins
4. Cytokines

Correct answer: 3. Kinins

Explanation: (Refer: Robbins & Cotran’s – Pathologic Basis of Disease, SAE, 1st edition, Vol I–pg no: 82-85)
Chemical mediators of inflammation

Cellular mediators